Cerebral Ischemia occur when cerebral blood flow is less than -
1. 10 ml/100g/minute
2. 20 ml/100g/minute
3. 40 ml/100g/minute
4. 50 ml/100g/minute

Correct answer: 2. 20 ml/100g/minute